The semi essential amino acids is:
1. Arginine
2. Phenylalanine
3. Lysine
4. Tryptophan

Correct answer: 1. Arginine

Explanation: Ans. A. ArginineSemi essential amino acids are required by lactating mothers and growing children. They are arginine and histidine.Essential amino acids are those which cannot be produced by the body and a have to be supplemented from outside diet.